Population genetics is related with
1. Mandelian law
2. watson anc Crick model
3. Hardy Weinberg law
4. weigert Meyer rule

Correct answer: 3. Hardy Weinberg law